Fibrinoid necrosis is seen in?
1. Diabetes
2. Rheumatoid arthritis
3. Pancreatitis
4. Alzheimer's disease

Correct answer: 2. Rheumatoid arthritis

Explanation: Ans is 'b' i.e. Rheumatoid arthrirtis Fibrinoid necrosiso Fibrinoid necrosis is special form of necrosis typically occurs when complexes of antigen and antibodies are deposited in the walls of arteries. Deposits of these "immune complexes", together with fibrin that has leaked out of vessels, result in a bright pink and amorphous appearance in H & E stains, called "fibrinoid" (fibrin like) by pathologists.o Diseases causing fibrinoid necrosis are malignant hypertension (most common), PAN, SLE, SABE, acute rheumatic fever (Aschoffs nodule), RA, HSP, HBV, near peptic ulcer and malignancy.Note: In fibrinoid necrosis, there is no deposition offibrin. It is fibrin like matter, which is deposited.